Real-time PCR is used for:
1. DNA detection only
2. RNA detection only
3. Protein detection only
4. For monitoring the amplification of target DNA

Correct answer: 4. For monitoring the amplification of target DNA

Explanation: Real-time PCR is used for monitoring the amplification of target DNA. In this PCR, we use SYBR-green dye, which has a property of giving fluorescence when bound to dsDNA. When DNA synthesis is occurring then gradually ds DNA is increased in amount so fluorescence is also increased. This fluorescence can be measured and then amount of DNA can be calculated from that. Therefore it is known as Quantitative PCR (q PCR). Dyes used in qPCR: SYBR Based Detection: Uses SYBR Green dye (ds-DNA binding dye) - NOT sequence specific. TaqMan Based Detection: Uses a fluorogenic probe specific to target gene to detect target, as it accumulates during PCR.